Acute endocarditis with abscess is most commonly associated with?
1. Listeria
2. Staphylococcus
3. Streptococcus
4. Enterococcus

Correct answer: 2. Staphylococcus

Explanation: Ans. (b) StaphylococcusRef: Harrison's 18th ed ch:124, Braunwald's HeartDisease: A Textbook of Cardiovascular Medicine 18thed ch-63